Diabetic gangrene is due to -
1. Ischemia
2. Increased blood glucose
3. Altered defense by host and neuropathy
4. All of the above

Correct answer: 4. All of the above

Explanation: Ans. is 'd' i.e., All of the above